For autopsy, vitreous is preserved in:
1. Phenol
2. Sulphuric acid
3. Fluoride
4. Xylol

Correct answer: 3. Fluoride

Explanation: Ans. C: FluorideThe vitreous humor specimen is particularly useful for alcohols, or in diabetes and insulin related deaths. It is also very useful where the body has decomposed. The fluid in the eye resists putrefaction longer than other body fluids as it is sterile and remains well protected in eye. It is useful for certain biochemical tests such as urea, creatinie, glucose, lactose and alcohol. Vitreous humor must be collected from both eyes in separate vials of 10 ml. It is preserved with sodium fluoride (10 mg/ m1).